Frei's test is diagnostic of:
1. Lymphogranuloma venerum
2. Lymphogranuloma inguinale
3. Donovanosis
4. Soft chancre

Correct answer: 1. Lymphogranuloma venerum

Explanation: Lymphogranuloma venerum